Which of the following is not true about pseudopancreatic cyst?
1. Most common site is lesser sac
2. Most common cause is gallstones
3. Jurasz operation is done
4. Most cases are managed conservatively

Correct answer: 2. Most common cause is gallstones

Explanation: PSEUDOPANCREATIC CYST Lined by granulation tissue M.C cause is alcohol Located in lesser sac most commonly in acute pancreatitis. Size of cyst is small, so most patients are asymptomatic. If large cyst it will compress the posterior wall of stomach leads to frequent episodes of non-bilious vomiting just after meals, with abdominal pain. IOC - CECT Rx : not required, most cyst resolve spontaneously Indications of RX Persistence of cyst > 6 months Size of cyst > 6 cm Rx of choice - Cystojejunostomy Alternative treatment - Cystogastrostomy and Cystoduodenostomy JURASZ procedure - Trans Gastric Cystogastrostomy Cystogastrostomy: common complications- hemorrhage & infection.